Which is enrichment media -
1. Selenite F broth
2. Chocolate media
3. Meatextract media
4. Egg media

Correct answer: 1. Selenite F broth

Explanation: Alls, is 'a' i.e., Selenite F broth [Ref: Ananthanarayan 8F/e p. 40\TAYPES OF MEDIA1. Enriched mediao Substances such as blood, serum, or egg are added to provide nutritional support,o They are used to grow bacteria which are more exacting in their nutritional needs,o Examples - Blood agar, chocolate agar, and egg media.2 Enrichment mediao Substances which have a stimulating effect on the bacteria to be grown or an inhibiting effect on those to be suppressed are incorporated in the liquid media,o Example:* Tetrathionate broth-Salmonella* Selenite F broth-Salmonella and shigella* Thioglycolate broth-Anaerobic bacteria* Monsur's taurocholate tellurite Peptone water-V. cholerae* Alkaline peptone water-V. choleraeSelective mediao Substances which have a stimulating effect on the bacteria to be grown or an inhibiting effect on those to be suppressed are incorporated in the solid medium,o Examples:* Deoxycholate citrate agar (DC A)-Salmonella and shigella* Lowenstein Jensen (LJ) medium-M. tuberculosisIndicator mediao Media contain an indicator which changes colour when a bacterium grows in them,o Examples:* Wilson and blair medium-S. typhi* Mcleod's medium (potassium tellurite)-C. diphtheriaeDifferential mediao A medium has substances which bring out different characteristics of bacteria and thus helping to distinguish between them.o Example - MacConkey's medium.RememberMacConkey's medium acts both as indicator and differential media.